Serum calcitonin is a marker for -
1. Anaplastic carcinoma
2. Papillary carcinoma
3. Medullary carcinoma
4. Follicular carcinoma

Correct answer: 3. Medullary carcinoma

Explanation: Ans. is 'c' i.e., Medullary carcinoma